Which of the following type of RNA has the splicing activity as a function?
1. mRNA
2. snRNA
3. tRNA
4. rRNA

Correct answer: 2. snRNA

Explanation: Small Nuclear RNAs (snRNAs), a subset of the small RNAs, are significantly involved in rRNA and mRNA processing and gene regulation. Of the several snRNAs, U1, U2, U4, U5, and U6 are involved in intron removal and the processing of mRNA precursors into mRNA Ref: Weil P. (2011). Chapter 34. Nucleic Acid Structure & Function. In D.A. Bender, K.M. Botham, P.A. Weil, P.J. Kennelly, R.K. Murray, V.W. Rodwell (Eds), Harper's Illustrated Biochemistry, 29e.